Recurrent Neisseria infections are predisposed by -
1. Early complement component deficiency
2. Late complement component deficiency
3. C1 esterase deificiency
4. Properdin deficiency

Correct answer: 2. Late complement component deficiency

Explanation: Meningococcal disease can present as cerebrospinal meningitis and meningococcal septicemia. Meningococcal disease is favoured by deficiency of the terminal complement components ( C5-C9). Reference: Anathanarayan & paniker's 9th edition, pg no:229